Which of the following radioactive isotopes is not used for brachytherapy –
1. Iodine–125
2. Iodine–131
3. Cobalt–60
4. Iridium–192

Correct answer: 2. Iodine–131